A 75-year-old man is brought to the casualty with sudden syncopal episode while playing with his grandchildren. He is currently alert and describes occasional substernal heaviness and shortness of breath. His lungs have bibasilar rales and BP is 120/80mmHg. Which is the classical finding expected in this patient?
1. Ejection systolic murmur with Soft S2
2. Ejection systolic murmur with wide split S2
3. Harsh Holosystolic murmur with soft 2
4. Harsh pan-systolic murmur with loud S2

Correct answer: 1. Ejection systolic murmur with Soft S2

Explanation: The clinical presentation of exertional syncope, angina equivalent and dyspnea in geriatric age group points to diagnosis of valvular Aortic stenosis. The auscultatory finding is of harsh ejection systolic murmur radiating to the carotids. Soft S2 is due to poor mobility of a stenosed valve. Choice B is wrong because in aortic stenosis, narrow split S2 or paradoxical split S2 is heard. Choice C and D are wrong due to presence of Ejection systolic murmur in aortic stenosis.